Pt carpometacarpal joint is a type of ?
1. Ellipsoid
2. Saddle
3. Condylar
4. Ball and socket

Correct answer: 2. Saddle

Explanation: Ans. is 'b' i.e., Saddle